Kanavel's sign is seen in
1. Tenosynovitis
2. Trigger finger
3. Dupuytrens contracture
4. Carpal tunnel syndrome

Correct answer: 1. Tenosynovitis

Explanation: Ans. is 'a' i.e. Tenosynovitis Kanavel's sign is seen in acute suppurative tenosynovitis of the little finger. It is tenderness elicited at a point in between the two palmar crease about 2.5 cm proximal to the base of the little finger.There are also 4 Cardinal signs of Kanavel seen in acute suppurative tenosynovitis of fingers. These are:finger held in slight flexion,fusiform swelling involving entire finger,tenderness along the flexor tendon sheath, andpain with passive extension of the digit.Tenosynovitis is inflammation of the tendon and tendon sheath.